Dopamine agonist used in treatment of parkinsonism?
1. Ropinirole
2. Pramipexole
3. Bromocriptine
4. All of the above

Correct answer: 4. All of the above

Explanation: Ans. d (All of the above) (Ref H-17th/121)NEUROLEPTIC MALIGNANT SYNDROME (NMS)# Features: Hyperthermia, Extrapyramidal effects, Autonomic dysregulation, and "Lead-pipe" muscle rigidity.# Rx:- Dantrolene: 1-2.5 mg/kg given IV every 6 h for at least 24-48 h--until oral dantrolene can be started.- NMS may also be treated with.* Bromocriptine0,* Amantadine, or* Levodopa,* Nifedipine0* Curare and Pancuronium (induction of muscle paralysis).Drugs causingHeat StrokeDrug-InducedHyperthermiaNMSSerotoninsyndromeMalignantHyperthermiaExertionalAmphetaminesPhenothiazinesSSRIsInhalationalAnticholinergicsCocaineButyrophenonesMAOIsanestheticsAntihistaminesPhencyclidine (PCP)HaloperidolTCAsScolineAntiparkinsonianMDMA; "ecstasy"Bromperidol DiureticsLSDLoxapine PhenothiazinesSalicylatesTCAs LithiumMetoclopramide AnticholinergicsDomperidone SympathomimeticsThiothixene Molindone Withdrawal of dopaminergic Fluoxetine # Tricyclic antidepressant overdose may be treated with physostigmine.